All are major manifestation of theumatic fever and rheumatic heart diease except
1. Carditis
2. Elevated antiistreptolysin-O
3. Polyarthritis
4. Erythema marginatum

Correct answer: 2. Elevated antiistreptolysin-O

Explanation: Major criteria of RHD include card it is,chorea,arthritis, subcutaneous nodule, erythema marginatum. Ref : Ghai essential of pediatrics, eighth edition ,p.no:436